Test of detecting damage to cochlea -
1. Caloric test
2. Weber test
3. Rinne's test
4. ABC test

Correct answer: 4. ABC test

Explanation: As discussed earlier absolute bone conduction test is a tuning fork test in which bone conduction of the patient is compared with BC of the examiner after occluding the external auditory meatus of both patient and examiner
Bone conduction is a measure of cochlear function.

Hence, ABC test is used to detect damage to cochlea.
Rinne’s test
                                            — Measure air conduction
Weber’s test
Caloric test – assesses vestibular function